Which of the following is the most common congenital anatomic variant of the human pancreas?
1. Pancreas divisum
2. Annular pancreas
3. Duplication of pancreaticoduodenal artery
4. Pancreas trivisum

Correct answer: 1. Pancreas divisum

Explanation: Pancreas divisum occurs when the embryologic ventral and dorsal pancreatic anlagen fail to fuse, so pancreatic drainage is mainly through the accessory papilla. It is the most common congenital anatomic variant of the human pancreas. Reference: Harrisons Principles of Internal Medicine, 18th Edition